Growth hormone secretion, true is:
1. Continuous secretion
2. Stimulated by somatostatin
3. Stimulated by cortisol
4. Stimulated by exercise

Correct answer: 4. Stimulated by exercise

Explanation: Ans. (d) Stimulated by exercise(Ref: Ganong, 25th ed/p.325)Growth hormone secretion is pulsatileCortisol and somatostatin inhibit growth hormone secretionExercise increases growth hormone secretion